Highest percentage of MUFA are seen in;
1. Ground nut oil
2. Soya bean oil
3. Margarine oil
4. Palm oil

Correct answer: 1. Ground nut oil

Explanation: fats Saturated FA MUFA PUFA coconut oil 92 0 2 balm oil 4.6 44 10 Ground nut oil 19 50 31 safflower oil 10 15 75 sunflower oil 8 27 65 Com oil 8 27 65 Soya bean oil 14 24 62 Butter 60 37 3 margarine 25 25 50